Aplastic anemia in sickle cell anemia is due to infection of -
1. Herpes
2. Parvovirus B19
3. CMV
4. Papova

Correct answer: 2. Parvovirus B19